Drugs used in profile access of migraine are all except
1. Propanolol
2. Flunarazine
3. Topiramate
4. Leveriracetum

Correct answer: 4. Leveriracetum

Explanation: Prophylaxis of migraine is required if the attacks are frequent (more than 2-3) per month these drugs useful for prophylaxis are Propranolol is the most commonly used drug for prophylaxis of migraine attack timolol, Atenolol, metoprolol and nodalol are also be used for the drugs with ISA are ineffective Calcium channel blocker slaked flunarizine is also effective Clonidine can be used orally for the prophylaxis of migraine attack Topiramate anticonvulsant drug has recently been approved for prophylaxis of migraine. valproate and gabapentin also causes some prophylactic activity. Refer katzung 11/ep283